Id, ego, superego are terms coined by -
1. Sigmand Freud
2. Bleuler
3. Moral
4. Kraepelin

Correct answer: 1. Sigmand Freud

Explanation: Ans. is 'a' i.e., Sigmoid freud IMPORTANT CONTRIBUTORS IN PSYCHIATRYTermCoined byo Demence precoceo Dementia precoxo Catatonia, cyclotymiao Hebephreniao Schizophreniao Ambivalenceo Free associationo Psychoanalysis, Psychodynamicso Id, ego, Superegoo PsychiatryMoralEmil KraepelinKahlbaumHeckerEugen BleulerEugen BleulerSigmund FreudSigmunnd FreudSigmund FreudJohann christion Reil.